Fluoroquinolone with highest oral bioavilability:-
1. Levofloxacin
2. Gemifloxacin
3. Ciprofloxacin
4. Norfloxacin

Correct answer: 1. Levofloxacin

Explanation: Bioavailability : rate and extend to which an administered drug reaches the systemic circulation . Of the above mentioned drugs:- Levofloxacin has maximum bioavailability Norfloxacin has minimum bioavailability